Seton used in fistula in ano surgery is:
1. Dissecting seton and draining seton
2. Cutting seton and Dissolving seton
3. Cutting seton and draining seton
4. Fibrosing seton and Dissecting seton

Correct answer: 3. Cutting seton and draining seton

Explanation: SETONS A seton is a ligature of silk, nylon, silastic or linen. Used for making, drainage, cutting or staging. A high fistula may be converted into a low fistula by setons Setons are useful in the management of Complex anorectal fistulas with risk of incontinence or poor healing Patients with Crohn's disease Immunocompromised (HIV) and incontinent patients Patients with chronic diarrheal states Anterior fistula in women